The following are indications for performing thoractomy after blunt injury of the chest, except
1. 1500 ml drainage after placing an intercostal tube
2. Continuous bleeding through intercostal tube more than 200 ml\/hour for three or more hours
3. Cardiac tamponade
4. Rib fracture

Correct answer: 4. Rib fracture

Explanation: Indications for thoracotomy include haemothorax more than 1500 ml after placing intercostal tube(ICT)or hourly collection of 200-300 ml or ICT placed showing persistent drainage of blood.haemopericardium leading to cardiac tamponade is an another indication.Other indications include diaphragmatic injury,bronchus & major vessel injuries,oesophageal & thoracic duct injuries.